Which vitamin deficiency cause glossitis and cheilosis?
1. Thiamine
2. Riboflavin
3. Folic acid
4. Vitamin A

Correct answer: 2. Riboflavin

Explanation: Deficiency of Vit B2(riboflavin)causes cheilosis and glossitis. Cheilosis: Lesions at the mucocutaneous junction at the angles of the mouth leading to painful fissures are characteristic. *Tongue: Painful glossitis, the tongue assuming a red-purple (magenta) colour. *Seborrhoeic dermatitis: Scaly, greasy, desquamationReference: Chatterjea Textbook of Biochemistry pg no: 178